Pellagra in Jowar eating population is due to
1. Niacin in bound form
2. Deficiency of Tryptophan
3. Excess of Leucine
4. High consumption of milk and milk products

Correct answer: 3. Excess of Leucine